Single best prognostic indicator of successful treatment with single-dose Methotrexate is
1. Gestational sac size
2. Serum b-hCG level
3. Absence of fetal cardiac activity
4. Pain abdomen

Correct answer: 2. Serum b-hCG level

Explanation: The best candidate for medical therapy is the woman who is asymptomatic, motivated, and compliant. With medical therapy, some classic predictors of success include a low initial serum b-hCG level, small ectopic pregnancy size, and absent fetal cardiac activity. Of these, initial serum b-hCG level is the single best prognostic indicator of successful treatment with single-dose MTX. Specifically, reported failure rates are 1.5 percent if the initial serum b-hCG concentration is <1000 mIU/mLReference: William's Obstetrics; 25th edition; Chapter 19; Ectopic pregnancy